Rhabdomyolysis and Myoglobinuria may be seen in:
1. Viperbite
2. Multiple Hornet Stings
3. Clostridium Perfringes
4. All of the above

Correct answer: 4. All of the above

Explanation: Answer is D (All of the above): Bacterial infections from clostridium species and streptococcus and envenomations from Russel Viper and Hornet may all cause rhabdomyolysis.